University of Wisconsin solution is used in:
1. Organ preservation
2. Virus isolation
3. Gene therapy
4. All of the above

Correct answer: 1. Organ preservation

Explanation: The most commonly used fluid worldwide is the University of Wisconsin solution. It contains lactobionate, raffinose, and hydroxyethyl starch. Lactobionate is impermeable and prevents intracellular swelling; it also lowers the concentration of intracellular calcineurin and free iron, which may be beneficial in reducing reperfusion injury. Hydroxyethyl starch, a synthetic colloid, may help decrease hypothermia-induced cell swelling of endothelial cells and reduce interstitial edema. Another solution that is now being used commonly is histidine-tryptophan-ketoglutarate solution Ref: Schwartz's principle of surgery 9th edition, chapter 11.